Worldwide accepted minimum dose of Benzathine penicillin in Tertiary syphilis?
1. 4.8 Milion IU
2. 6 Million IU
3. 7.2 Million IU
4. 10 Million IU

Correct answer: 3. 7.2 Million IU

Explanation: Recommendations for the Treatment of Syphilis Stage of Syphilis Patients without Penicillin Allergy Patients with Confirmed Penicillin Allergy Primary, secondary, or early latent Penicillin G benzathine (single dose of 2.4 MU IM) Tetracycline hydrochloride (500 mg PO QID) or Doxycycline (100 mg PO BID) for 2 weeks Late latent (or latent of uncertain duration), cardiovascular, or benign tertiary Lumbar puncture CSF normal: Penicillin G benzathine 2.4 MU IM weekly for 3 weeks(total of 7.2 MU) CSF abnormal: Treat as neurosyphilis Lumbar puncture CSF normal and patient not infected with HIV: Tetracycline hydrochloride (500 mg PO QID) or Doxycycline (100 mg PO BID) for 4 weeks CSF normal and patient infected with HIV: Desensitization and treatment with penicillin if compliance cannot be ensured CSF abnormal: Treat as neurosyphilis Neurosyphilis (asymptomatic or symptomatic) Aqueous penicillin G (18- 24 MU/d IV, given as 3-4 MU 4h or continuous infusion) for 10-14 days or Aqueous penicillin G procaine (2.4 MU/d IM) plus oral probenecid (500 mg QID), both for 10-14 days Desensitization and treatment with penicillin Syphilis in pregnancy According to stage Desensitization and treatment with penicillin